A patient presented to you with fever, headache, rash and eschar. You suspect rickettsial disease. Which of the following is the LEAST likely disease in this case?
1. Indian tick typhus
2. Rickettsial pox
3. Scrub typhus
4. Endemic typhus

Correct answer: 4. Endemic typhus

Explanation: Rash is seen in 1) Epidemic typhus 2) Endemic typhus 3) Scrub typhus 4) Rocky Mountain spotted fever 5) Indian tick typhus Lymphadenopathy is seen in 1) Scrub typhus 2) Rickettsial pox Eschar is seen in 1) Scrub typhus 2) Rickettsialpox 3) Indian tick typhus Ref: Park, Edition 21, Page 274-276